Clara cells are seen in -
1. Alveoli
2. Bronchus
3. Trachea
4. Bronchiole

Correct answer: 4. Bronchiole

Explanation: Ans. is 'd' i.e., Bronchioles o Clara cells are small dome shaped cells present in terminal bronchioleo They secrete a protein that lines the small air passages.